All of the following disorders are due to defective nucleotide excision repair, EXCEPT
1. Xeroderma pigmentosum
2. Cockayne syndrome
3. Trichothiodystrophy
4. Hereditary nonpolyposis colon cancer

Correct answer: 4. Hereditary nonpolyposis colon cancer

Explanation: Disorders of nucleotide repair Defective nucleotide excision repair Xeroderma pigmentosum Cockayne syndrome Trichothiodystrophy Defective mismatch repair Hereditary nonpolyposis colorectal cancer (HNPCC) Defective non homologous end joining repair Severe combined immunodeficiency disease (SCID)